Percentage of para-para isomer in DDT is ?
1. 20-30%
2. 40-50%
3. 60-70%
4. 70-80%

Correct answer: 4. 70-80%

Explanation: Ans. is 'd' i.e., 70-80% o DDT is an amorphous white powder. o Para-para isomer is the most active fraction ---> contains 70-80% of para-para isomers.